All of the following statements about Selective Estrogen Receptor Downregulator (SERD), Fulvestrant are true, Except
1. It is a selective estrogen antagonist
2. Used in the treatment of breast cancer
3. Slower acting, safer and less effective than SERM
4. May be administered as 'once a month' dose

Correct answer: 3. Slower acting, safer and less effective than SERM

Explanation: Ans is 'c' i.e. Slower acting, safer and less effective than SERM Fulvestrant It is a selective estrogen receptor downregulator (SERD) or pure antiestrogen/pure estrogen antagonist. o Fulverstrant is thought to have an improved safety profile, faster onset and longer duration of action than the SERMs due to its pure ER antagonistic activity. o Fulvestrant is used to treat post menopausal women with metastatic breast cancer that expresses the estrogen receptor (hormone receptor positive) and is used when first line treatments (e.g. tamoxifen or an aromatase inhibitor) have failed. Therapeutic uses o Fulverstrant typically is administered as a 250-gm intramuscular injection of monthly intervals. o It is used in post-menopausal women as antiestrogen theraphy of hormone receptor -- positive metastatic breast cancer after progression on first - line antiestrogen theraphy such as tamoxifen or aromatase inhibitors.